Which of the following insulin should not be mixed with other insulins?
1. Glargine
2. Aspart
3. Lispro
4. Regular

Correct answer: 1. Glargine

Explanation: Insulin preparations: Short acting insulin - Aspart Glulisine Lispro Regular Intermediate acting -> Lente insulin Long acting insulin Detemir Degludec NPH Ultra long acting insulin: Glargine Inhaled insulin - Afrezza All insulin preparation are available at neutral pH. Insulin glargine has acidic pH<4, so insulin glargine should not be mixed with any other insulin.